A 30-year-old woman mentions that the trunk of a particular tree near her apartment looks like face of lord Ram She can see the face of lord Ram every time when she walks past that tree but not on the other trees. This phenomenon is known as?
1. Delusional misidentification
2. Delusion of reference
3. Illusion
4. Visual hallucination

Correct answer: 3. Illusion

Explanation: An illusion is an involuntary false perception (i.e. face of Lord Ram) in which a transformation of real object (i.e. a specific tree in this case) takes place. Whereas hallucination is a disorder of perception in absence of a real stimulus.